M.C. site of Atopic dermatitis
1. Scalp
2. Antecubital fossa
3. Elbow
4. Trunk

Correct answer: 2. Antecubital fossa

Explanation: The cubital fossa or elbow pit is the triangular area on the anterior view of the elbow of a human or other hominid animal.
It is also called the antecubital fossabecause it lies anteriorly to the elbow (Latin cubitus) when in standard anatomical position.